Which of these components in breast milk are beneficial in the intestinal cell maturation and repair?
1. Lactoferrin
2. Epidermal growth factor
3. Cytokines
4. Glutathione peroxidase

Correct answer: 2. Epidermal growth factor

Explanation: Epidermal growth factor is beneficial in intestinal cell maturation, repair and luminal surveillance. Lactoferrin: Immunomodulationn, iron chelation, antimicrobial action, antiadhesive, trophic for intestinal growth. Glutathione peroxidase: Prevents lipid oxidation Ref: Nelson Textbook of pediatrics 21st edition Pgno: 322